Dutch cap is -
1. Diaphragm
2. Condom
3. Vaginal sponge
4. None

Correct answer: 1. Diaphragm

Explanation: Ans. is 'a' i.e., Diaphragm Diaphragm o Also known as Dutch cap. o It is a vaginal barrier. o It has a flexible rim made of spring or metal. o It is held in position partly by the spring tension and partly by the vaginal muscle tone, so the vaginal tone must be reasonable for its use --> In cystocele (prolapse), the rim may slip down. The diaphragm is inserted before sexual intercourse and must remain in place for not less than 6 hours after sexual intercourse. o The spermicidal jelly is always used along with the diaphragm. o Failure rate --> 6 to 12 per 100 women years.